Mucous secreting glands are absent in :
1. Cervix
2. Vagina
3. Duodenum
4. Oesophagus

Correct answer: 2. Vagina

Explanation: B i.e. Vagina - No glands open into vagina & vaginal secretions are derived partly from the mucous discharge of cervix & partly from a transudation through the vaginal epithelium.- Doderlein bacilli (gram +ve) are found in vagina- Vaginal mucosa is line by squamous epithelium - Posterior vaginal wall is longer than anterior - Cytology for evidence of corpus luteal activity (ovulation test) is taken from upper lateral vaginal wall DuodenumJejunumIleumSubmucosal Bruner's glandBrunner's gland & Peyer's patchPeyer's patch (aggregated lymph nodules)present absent present